All the following are anterior branches of the external carotid artery except
1. Superior thyroid
2. Lingual
3. Facial
4. Ascending pharyngeal

Correct answer: 4. Ascending pharyngeal

Explanation: The external carotid artery gives off eight branches, which are grouped as followsAnteriorPosteriorMedialTerminal1. Superior thyroid2. Lingual3. Facial1. Occipital2. Posterior auricular1. Ascendingpharyngeal1. Maxillary2. SuperficialtemporalRef: Chaurasia; Volume 3; 6th edition; Page no: 136